Steroid synthesis is function of:
1. RER
2. SER
3. Mitochondrial membrane
4. Golgi apparatus

Correct answer: 2. SER

Explanation: Steroid synthesis is function of organelle:smooth endoplasmic reticulum It also plays a role in detoxification, calcium storage